A 30-year-old female presented with stridor following upper respiratory infection. I/L shows glottic gap is 3 mm. It can be managed by the following except:
1. Tracheostomy
2. Type II thyroplasty
3. Type I thyroplasty
4. Cordectomy

Correct answer: 3. Type I thyroplasty

Explanation: (c) Type I thyroplasty(Ref. Current Diagnosis & Treatment Otolaryngology, Lalwani, 3rd ed., 478)Stridor means B/L RLN palsy. Glottic gap being 3mm so VC are in paramedian position. So the management is tracheostomy followed by lateralisation of the VC by type II thyroplasty or Cordectomy. Type I thyroplasty means doing medialisation of VC which will aggravate the condition.